Blue colour of the bruise is due to -
1. Hemosiderin
2. Deoxyhemoglobin
3. Bilirubin
4. Hematoidin

Correct answer: 2. Deoxyhemoglobin

Explanation: Blue color of bruise is due to deoxyhemoglobin (reduced hemoglobin).